Which of the following laser works on UV waves
1. CO2 laser
2. Diode
3. Er YAG
4. KrF

Correct answer: 4. KrF